Which of the following protozoa can affect eye
1. E. histolytica
2. Toxoplasmosis
3. G. lamblia
4. E. coli

Correct answer: 2. Toxoplasmosis

Explanation: Ans. b. Toxoplasmosis In Toxoplasmosis, granulomatous lesions and chorioretinitis can be observed in posterior chamber after acute necrotizing retinitis. Other ocular complications include iridocyclitis, cataract, glaucoma. E. histolytica G. lamblia and E. coli does not affect eye. Toxoplasmosis: Ocular Manifestations In eye, infiltrates of monocytes, lymphocytes and plasma cells may produce uni- or multifocal lesions Granulomatous lesions and chorioretinitis can be observed in posterior chamber after acute necrotizing retinitis Other ocular complications include iridocyclitis, cataract, glaucoma